Squeeze technique is used for -
1. Impotence
2. Premature ejaculation
3. Infertility
4. Priaprism

Correct answer: 2. Premature ejaculation

Explanation: Squeeze (Semen's) technique → For premature ejaculation.
Sensate focus technique → For impotence.